NARP syndrome is a type of-
1. Mitochondrial function disorder
2. Glycogen storage disorder
3. Lysosomal storage disorder
4. Lipid storage disorder

Correct answer: 1. Mitochondrial function disorder

Explanation: Harrison's principles of internal medicine 17th edition *Neurogenic muscular weakness with ataxia and retinitis pigmentosa is a mitochondrial disease